In breast Ca 6 cm with fixed ipsilateral axillary lymphnode. The TNM staging is :
1. T3N2
2. T2N2
3. T4N2
4. T1N1

Correct answer: 1. T3N2